In HIV window period indicates -
1. Time period between infection and onset of first symptoms
2. Time period bebtween infection and detection of antibodies against HIV
3. Time period between infection and minimum multiplication of the organism
4. Time period between infection and maximum multiplication of the organism

Correct answer: 2. Time period bebtween infection and detection of antibodies against HIV

Explanation: It may take 2-8 weeks to months for antibodies to occur after infection and during part of this period the individual may be highly infectious. This seronegative infective stage is window period. REF:ANANTHANARAYAN AND PANIKER'S TEXTBOOK OF MICROBIOLOGY 9TH EDITION PAGE NO:579